Reversal of sterilization is best with:
1. Falope ring
2. Cauterization
3. Pomeroy method
4. Irving method

Correct answer: 1. Falope ring

Explanation: Ans. is a, i.e. Falope ring* Chances of reversal are best when tubectomy was done with: Laparoscopic clips > Laparoscopic falope rings* Chances of Reversal are least with: Cauterization.